A malignant tumour of childhood, that metastasized to
bone most often, is:
1. Wiles tumour
2. Neuroblastoma
3. Adrenal gland tumour
4. Granuloma cell tumour of ovary

Correct answer: 2. Neuroblastoma